Steroids act nuclear receptors which interact with DNA through
1. Helix turn helix
2. Zinc finger motif
3. Histidine
4. Leucine zipper

Correct answer: 2. Zinc finger motif

Explanation: B i.e. Zinc finger motif